Turcot's syndrome is associated with -a) Duodenal polypsb) Familial adenomatous polyposisc) Brain tumorsd) Villous adenomae) Hyperplastic polyps
1. a
2. c
3. bc
4. ad

Correct answer: 3. bc

Explanation: Turcot's syndrome is a variant of Familial adenomatous polyposis characterized by
- Colorectal polyposis
- Brain tumors (Medulloblastoma, Glioblastoma multiforme)
The colonic polyps in Turcot's syndrome are fewer and larger than in classic FAP.